Endoscopic biopsy from a case of H.pylori related duodenal ulcer is most likely to reveal :
1. Antral predominant gastritis
2. Multifocal atrophic gastritis
3. Acute erosive gastritis
4. Gastric atrophy

Correct answer: 1. Antral predominant gastritis

Explanation: Answer is A (Antral predominant gastritis) The presence of antral predominant gastritis is associated with duodenal ulcer formation.